Insulin release due to closure of K+ channels is seen with:
1. Nateglinde
2. Acarbose
3. Exenatide
4. Sitagliptin

Correct answer: 1. Nateglinde